Kartagener's syndrome includes all except (Repeat)
1. Situs inversus
2. Bronchiectasis
3. Lobar emphysema
4. Sinusitis

Correct answer: 3. Lobar emphysema

Explanation: Ans: c (Lobar emphysema) Ref: Harrison's Principles of Internal Medicine, 18th ed. & MedscapeExplanation:Kartagener's syndromeTriad of Situs Inversus. Chronic sinusitis, and BronchiectasisAssociated with Primary ciliary dyskinesiaPatients present with chronic upper and lower respiratory tract disease resulting from ineffective mucociliary clearance.A typical presentation is that of rhinorrhea and mucopurulent discharge since hirth.Immotile spermatozoa result in male sterility.Nasal polyps are seen in 30% of casesRecurrent chronic sinusitisRecurrent otitis mediaRecurrent LRIs by Pseudomonas & Hemophilus influenza